A young patient presents with enlargement of the costochondral junction and with the white line of Fraenkel at the metaphysis. The diagnosis is -
1. Scruvy
2. Rickets
3. Hyperparathyroidism
4. Osteomalacia

Correct answer: 1. Scruvy

Explanation: Enlargement of the costochondral junction (rosary) and white line of Frankel are seen both in scurvy and rickets.
However, the best answer here is scurvy as white line Fraenkel is seen in healing rickets, not in active rickets. And rickets (if not specified as healing rickets) refers to active disease.